Expression and release of a repressed emotion is called as
1. Regression
2. Dissociation
3. Abreaction
4. Confabulation

Correct answer: 3. Abreaction

Explanation: Ref. Oxford textbook of Psychiatry. Page. 390
 
Options are

Abreaction - the expression and consequent release of a previously repressed emotion, achieved through reliving the experience that caused it (typically through hypnosis or suggestion)
Regression - is a defense mechanism leading to the temporary or long-term reversion of the ego to an earlier stage of development rather than handling unacceptable impulses in a more adaptive way
Dissociation – Its’ is any of a wide array of experiences from mild detachment from immediate surroundings to more severe detachment from physical and emotional experience
Confabulation - is a disturbance of memory, defined as the production of fabricated, distorted, or misinterpreted memories about oneself or the world, without the conscious intention to deceive